All of the following are not false about seminomas, except:
1. Most common type of germ cell tumor
2. Schiller-Duval bodies are commonly seen
3. Serum HCG levels are elevated
4. Spermatocytic seminomas are usually slow growing

Correct answer: 2. Schiller-Duval bodies are commonly seen

Explanation: Most common germ cell tumor arising from testicular tissue - seminomas. Serum human chorionic gonadotropin (hCG) levels are elevated, though not to the extent seen in patients with choriocarcinoma. Immunohistochemical markers of seminoma: OCT 3/4 KIT PLAP (Placental Alkaline Phosphatase) Peak incidence is in the 4th decade of life. Identical tumour in the ovary is dysgerminoma, in the pineal gland-germinoma. Spermatocytic seminomas are uncommon, slow-growing tumuors, generally seen in older individuals (usual more than 65 years old). Spermatocytic tumours most often do not metastasize, and have good prognosis when treated by surgical resection. Schiller-Duval bodies are seen in Yolk Sac tumour.